Not a part of kangaroo mother care-
1. Skin to skin contact
2. Early discharge
3. Free nutritional supplements
4. Exclusive breast feeding

Correct answer: 3. Free nutritional supplements

Explanation: Ans- C Free nutritional supplements